Which of the following is the major anaplerotic enzyme?
1. Pyruvate carboxylase
2. Acetyl-CoA carboxylase
3. Pyruvate dehydrogenase
4. Succinate dehydrogenase

Correct answer: 1. Pyruvate carboxylase

Explanation: Ans. a)Pyruvate carboxylase Anaplerotic (gap-filling) reactions are the reactions that replenish the depleted TCA cycle intermediates that were used up in the biosynthetic reactions. Oxaloacetate is the catalyst of TCA cycle. Thus, production of oxaloacetate is the major anaplerotic reaction. Intermediate Depleted (used) by Replenished by Oxaloacetate Amino Acid synthesis Pyruvate carboxylase - Major anaplerotic enzyme Succinyl-CoA Heme Synthesis From Propionyl-CoA by carboxylase and Methyl malonyl-CoA mutase Oxaloacetate, Fumarate Gluconeogenesis From Amino acids